Multiple lytic lesions of skull with beveled edges are seen in -
1. Eosinophilic granuloma
2. Metastases
3. Multiple myeloma
4. Neuroblastoma

Correct answer: 1. Eosinophilic granuloma

Explanation: key words for Esinophilic granuloma : Punched out lytic lesions of skull Bevelled edges Laminated periosteal reaction Key words for multiple myeloma Punched out lytic lesions of skull endosteal scalloping no periosteal reaction